Neutropenia is seen in all except:
1. Scurvy
2. Aplastic anemia
3. Typhoid fever
4. Chloramphenicol

Correct answer: 1. Scurvy

Explanation: Ans: A (Scurvy) Ref: Harrison's Principles of Internal Medicine, 18 ed.Explanation:Severity of neutropenia based on the absolute neutrophil count (ANC) measured in cells per microliter of blood:Mild neutropenia (1000 < ANC < 1500) minimal risk of infectionModerate neutropenia (500 < ANC < 1000) -- moderate risk of infectionSevere neutropenia (ANC < 500) -- severe risk of infection.Causes of NeutropeniaCauses can be divided into the following groups:Decreased production in the bone marrow due to:Aplastic anemiaArsenic poisoningCancer, particularly blood cancersHereditary disorders (e.g. Congenital neutropenia. cyclic neutropenia)RadiationVitamin B 12, Folate or copper deficiency.Increased destruction:Autoimmune neutropenia.Chemotherapy treatments, such as for cancer and autoimmune diseasesMarginalisation and sequestration:HemodialysisMedications:ChloramphenicolPhenytoinIndomethacinPropylthiouracilCarbimazoleChlorpromazineTrimethoprim/sulfamethoxazoleClozapineTiclodipineInfectionsTuberculosisTyphoid feverBrucellosisTularemiaMeaslesInfectious mononucleosisMalariaViral hepatitisAIDS